Which of the following tumor most commonly presents with bilateral proptosis?
1. Leukemia
2. Adenocarcinoma
3. Fibrous his ocytoma
4. Cavernous hemangioma

Correct answer: 1. Leukemia